Flat vegetations in pockets of valves are due to -
1. Rheumatic heart disease
2. Libman sacks Endocarditis
3. NBTE
4. Infective endocarditis

Correct answer: 2. Libman sacks Endocarditis

Explanation: Characterised by presence of Sterile vegetation on the valves of patient with SLE. THE lesion probably develops as a consequence of immune complex deposition and thus exhibit associated inflammation often with fibrinoid necrosis of the valve substance adjacent to the vegetation Robbins 9 th edition page no. 395